All are used in acute attack of asthma in a 4 year old child except -
1. Theophylline
2. Corticosteroids
3. Sedatives
4. Salbutamol

Correct answer: 3. Sedatives

Explanation: Ans. is 'c' i.e., Sedatives Treatment of acute exacerbation of Asthma o Acute exacerbation may be graded as i) Mild iii) Severe ii) Moderate iv) Life threatening (status epilepticus)